Which of the following teeth are not excluded from the scoring in Simplified Oral Hygiene Index (OHI-S)?
1. Natural teeth with full crown restorations
2. Surfaces reduced in height by caries
3. Traumatized teeth
4. Functional third molars

Correct answer: 4. Functional third molars

Explanation: The Simplified Oral Hygiene Index (OHI-S) was developed in 1964 by John C. Greene and Jack R. Vermillion. 
Natural teeth with full crown restorations and surfaces reduced in height by caries or trauma are not scored. Third molars are  included only if they are functional